The following statements are true for the therapy with lithium except:
1. It is used in bipolar disorder
2. Amiloride is useful in treating lithium induced diabetes insipidus
3. Regular measurements of blood concentration of lithium is necessary
4. Sodium ion is a specific antidote for lithium clearance

Correct answer: 4. Sodium ion is a specific antidote for lithium clearance

Explanation: Ans. (D) Sodium ion is an specific antidote for lithium clearance(Ref: KDT 8/e p476-477)There is no specific antidote for lithium.Lithium is the drug of choice for the treatment of bipolar disorder and prophylaxis of acute mania.It is a narrow therapeutic index drug and requires therapeutic drug monitoring.Amiloride is the drug of choice for lithium induced diabetes insipidus.